Severe hepatotoxicity associated with steatohepatitis, most likely a result of mitochondrial toxicity, is being recognized with:
1. Zidovudine
2. Didanosine
3. Indinavir
4. All

Correct answer: 4. All

Explanation: Severe hepatotoxicity associated with steatohepatitis, most likely a result of mitochondrial toxicity, is being recognized with increasing frequency with antiretroviral therapy with reverse transcriptase inhibitors (e.g., zidovudine, didanosine) or protease inhibitors (e.g., indinavir, ritonavir. Reference: Harrisons Principles of Internal Medicine, 18th Edition, Page 2560